Chorionic villous sampling is useful in all the following except
1. Tay-Sachs disease
2. Spina bifida
3. Thalassanemia
4. Down syndrome

Correct answer: 2. Spina bifida

Explanation: Chorionic villous sampling (CVS) is generally performed at 10 to 13 weeks. 1. Second-trimester amniocentesis - for genetic diagnosis is usually performed between 15 and 20 weeks. 2. Early amniocentesis - this is performed between 11 and 14 weeks CVS for trophoblastic cells (derived embryologically from the same fertilized eggs as the fetus is usually done during gestational weeks 11-13 The advantage of CVS is that the results are available early in pregnancy